Chances of an offspring being affected when one parent is autosomal dominant heterozygote:
1. 25%
2. 50%
3. 100%
4. None

Correct answer: 2. 50%

Explanation: Ans. (b) 50%(Ref: Robbins 9th/pg 140; 8th/pg 140)Chances of an offspring being affected when one parent is autosomal dominant heterozygote is 50%